Transfer of drug resistance is staphylococcus is by
1. Transduction
2. Transformation
3. Conjugation
4. Transfection

Correct answer: 1. Transduction

Explanation: Beta-lactamase-mediated: this is mediated through the production of beta-lactamase or penicillinase, which inactivates penicillin by splitting the beta-lactam ring. these are inducible enzymes which are plasmid-mediated.they can be transmitted by transduction or conjugation. Ref: Textbook of Microbiology; Ananthanarayanan and Panicker; Tenth Edition; Page No: 202